Which of the following is NOT a feature of Meniere's disease?
1. Vertigo
2. Pressure in ear
3. Diplopia
4. Tinnitus

Correct answer: 3. Diplopia

Explanation: Meniere's disease is a triad of vertigo, hearing loss and tinnitus and is associated with swelling of the endolymphatic space. The underlying cause of Meniere's disease is most often unknown, sometimes it can be attributed to allergy, vascular insult, physical trauma, syphilis, acoustic neuroma, viral insult or other causes. Hearing loss in this condition is most often unilateral, sensorineural and fluctuating. In early stages of the disease the hearing loss configuration is often low frequency in nature. After repeated attacks the loss usually progresses to a flat, moderate to severe hearing loss. Another common feature is poor speech recognition ability.